First antibody produced by newborn?
1. IgA
2. IgG
3. IgE
4. IgM

Correct answer: 4. IgM

Explanation: Ref: Microbiology by Ananthanarayan 9th ed. 198-99* First antibody produced by newborn is IgM at 20 weeks age of gestation.* Immunoglobulin that can cross placenta: IgG1 * Immunoglobulin that is present in breast milk: IgA